Intrinsic fibers of the cementum
1. Are completely calcified
2. Produced by PDL fibers
3. Have uncalcified core
4. Are perpendicular to surface of the root

Correct answer: 1. Are completely calcified